Arrange the following steps in order of the events occurring first to lastA. MarginationB. Rolling C. StasisD. Pavementing
1. ABCD
2. DCAB
3. CABD
4. DABC

Correct answer: 3. CABD

Explanation: The correct order is 
Stasis - Margination - Rolling - Pavementing.